Short gastric vessels are present in which ligament
1. Lienorenal
2. Gastrophrenic
3. Gastrosplenic
4. Gastrocolic

Correct answer: 3. Gastrosplenic

Explanation: The short gastric veins, four or five in number, drain the fundus and left part of the greater curvature of the stomach, and pass between the two layers of the gastrosplenic ligament to end in the splenic vein or in one of its large tributaries. ref -